In primary pulmonary hypertension basic abnormality in gene lies in
1. >Bone morphogenetic protein receptor II
2. >Endothelin
3. >Homeobox gene
4. >PAX-11

Correct answer: 1. >Bone morphogenetic protein receptor II

Explanation: Bone morphogenetic protein receptor II Mutation in the bone morphogenetic protein receptor-2 (BMPR-II) cause pulmonary arterial hypertension. The BMPR-II gene plays a role in regulating the number of cells in certain tissues. Researchers suggest that a mutation in this gene promotes cell division or prevents cell death, resulting in an overgrowth of cells in small arteries throughout the lungs. As a result, these arteries narrow in diameter which increases the resistance to blood flow. The blood pressure in the pulmonary artery and the right ventricle of the heart increases to overcome the increased resistance to blood flow resulting in pulmonary hypertension.